Fiber-optic trans-illumination (FM) method of caries
diagnosis is based on the principle of:
1. When Laser beam falls on carious enamel, it gives a bluish hue.
2. A fluorescent dye is taken up by carious dentine which can be viewed easily
3. There is a different index of light transmission for decayed or sound enamel.
4. The conductance of normal and decayed tooth tissue is different.

Correct answer: 3. There is a different index of light transmission for decayed or sound enamel.